Bell's palsy is triggered by
1. Exposure to Cold
2. Tooth extraction
3. Local and systemic infection
4. Any of the above

Correct answer: 4. Any of the above